A chronic alcoholic is presenting with clinical features of meningitis. Most likely organism which will grow on CSF culture:
1. Streptococcus pneumoniae
2. N. meningitidis
3. Listeria monocytogenes
4. E coli

Correct answer: 1. Streptococcus pneumoniae

Explanation: Streptococcus pneumoniae REF : ananthanarayana 10th ed